The commonest site for impaction of foreign body in the Gastro Intestinal Tract is
1. Ileocaecal junction
2. Pyriform fossa
3. Pyloric sphincter
4. Cricopharynx

Correct answer: 4. Cricopharynx